Which of the fontalle is the last to close after birth
1. Anterior fontanelle
2. Posterior fontanelle
3. Sphenoidal fontanelle
4. Mastoid fontanelle

Correct answer: 1. Anterior fontanelle

Explanation: Ref. The Short Textbook of Pediatrics. Pg 550
 

Anterior fontanelle closes  around 10-18 months
Posterior fontanelle closes around 8 weeks
Persistent posterior fontanelles is earliest sign of hypothyroidism